Which tumour does not occur in minor salivary gland?
1. Pleomorphic adenoma
2. Adenocarcinonna
3. Mucoepidermoid carcinoma
4. Warthin's tumour

Correct answer: 4. Warthin's tumour